Least common cause of clubbing
1. Adenocarcionma
2. Squamous cell carcinoma
3. Small cell carcinoma
4. Mesothelioma

Correct answer: 3. Small cell carcinoma

Explanation: Clubbing is most common with adenocarcinomaand is least common with small lung cell cancer... Ref:Ptinciples and practice of lung cancer Pg 348